Which of the following statements about fluconazole is most accurate?
1. It is highly effective in the treatment of aspergillosis
2. It does not penetrate the blood-brain barrier
3. Its oral bioavailability is less than that of ketoconazole
4. It inhibits demethylation of lanosterol

Correct answer: 4. It inhibits demethylation of lanosterol

Explanation: * Fluconazole (Azoles) act by inhibiting the enzyme lanosterol-14-a-demethylase resulting in reduced ergosterol synthesis. * It has very good CNS penetration and oral bioavailability. * It is not very effective against aspergillosis (voriconazole is the drug of choice).